Posterior one third of tongue develops from:
1. First arch
2. Second arch
3. Third arch
4. Fourth arch

Correct answer: 3. Third arch